Isotopes used in relief of metastatic bone pain includes – a) Strontium–89b) I–131c) Gold–198d) P–32e) Rhenium–l86
1. acd
2. ade
3. abd
4. ad

Correct answer: 2. ade

Explanation: Radiopharmaceuticals (radioactive isotopes) used for metastatic bone pain are strantium (Sr"), Samarium (Sm153), Rhenium (Re186), Phosphorus (P32), and Tin (Sn117).
Some guides have included I-131 also as the answer, but Iodine-131 is not used for metastatic bone pain.